The low grade non-Hodgbkins lymphoma is ?
1. Follicular
2. Large cell
3. Diffuse large cell
4. Lymphoblastic

Correct answer: 1. Follicular

Explanation: Ans is 'a' i.e., Follicular